Which drug is not given in anaphylactic shock:
1. Adrenaline
2. Steroids
3. Antibiotics
4. Antihistamine

Correct answer: 3. Antibiotics

Explanation: Ans. C: Antibiotics Epinephrine (adrenaline) is the primary treatment for anaphylaxis with no absolute contraindication to its use. Epinephrine improves airway patency, improves blood pressure, and may be life-saving. The recommended dose is 0.5 mg (or 0.5 mL adrenaline injection 1 in 1000) given intramuscularly. Anaphylaxis can lead to massive losses of intravascular fluids. Thus large amounts of intravenous fluids maybe required. Antihistamines may have adjuvant value. Corticosteroids should be added in severe/recurrent cases.